Arthus reaction is what type of hypersensitivity reaction
1. Localized immune complex
2. Ag-Ab reaction
3. Complement mediated
4. Ab mediated

Correct answer: 1. Localized immune complex

Explanation: The Arthus reaction is a localized area of tissue necrosis resulting from acute immune complex vasculitis, usually elicited in the skin. Revise the mnemonics “SHARP“ from the text.